Which of the following statement regarding HIV infection is true?
1. Following needle stick injury HIV transmission can be reduced by administration of nucleoside analogues
2. CD4 counts are the best predictors of disease progression
3. Infected T cells survive for a month in infected patients
4. In latent phase HIV has minimal replication

Correct answer: 1. Following needle stick injury HIV transmission can be reduced by administration of nucleoside analogues

Explanation: Postexposure prophylaxis after a needle stick injury, should be initiated as quickly as possible, preferably within 1 to 2 hours. CDC guidelines recommend two general alternatives: a basic regimen, which consists of two-drug therapy, often consisting of azidothymidine and lamivudine, and an expanded regimen, which adds a third drug, such as indinavir or nelfinavir. Ref: Harrisons Internal Medicine, 18th Edition, Chapter 189 ; Tintinalli's Emergency Medicine: A Comprehensive Study Guide, 7th Edition, Chapter 149